Which of the following fracture cause cubitus varus deformity as a complication?
1. Fracture lateral condyle of humerus
2. Supra condylar fracture of humerus
3. Fracture radial head
4. Chronic osteomyelitis

Correct answer: 2. Supra condylar fracture of humerus

Explanation: Cubitus varus deformity or gun stalk deformity is a common late complication of supra condylar fracture of humerus. Other late complications associated with it are myosistis ossificans and Volmann's ischemic contracture. Reference: Essential Orthopaedics By J Maheswari , 3rd edition page 85.